Lambda - Panda sign is typically seen in-
1. Sarcoidosis
2. Tuberculosis
3. Histoplasmosis
4. Leishmaniasis

Correct answer: 1. Sarcoidosis

Explanation: Ans. is 'a' i.e., Sarcoidosis o Lambda sign and Panda sign on Gallium scan are typically described for sarcoidosis.o Active pulmonary and/or mediastinal sarcoidosis is gallium avid and a positive gallium scan can support the diagnosis of sarcoidosis. Typical patterns of uptake have been described as 'panda' and 'lambda'signs.y Lambda sign - Formed from increased uptake in bilateral hilar and right paratracheal nodes y Panda sign - Formed from increased uptake in the parotids and lacrimal glandso A Lambda sign in combination with a so-called Panda sign (Lambda-Panda Sign) is a highly specific pattern for sarcoidosis.# The degree of uptake typically depends on the activity of disease and gallium scan is positive only in the setting of active parenchymal disease and negative in remission